Activated charcoal is used in -
1. Alcohol
2. Barbiturate
3. Heavy metal poisoning
4. Lead poisoning

Correct answer: 2. Barbiturate

Explanation: Amongst the given options, activated charcol is best used in barbiturate poisoning.